Triple antibiotic paste contain all except
1. Metronidazole
2. Minocycline
3. Ciprofloxacin
4. Amoxcyllin

Correct answer: 4. Amoxcyllin